Emporiatrics deals with the health of the following group of people:
1. Farmers
2. Travellers
3. Industrial workers
4. Mine workers

Correct answer: 2. Travellers

Explanation: Emporiatrics is the term coined to describe the science of the health of travellers. Health maintenance recommendations are based not only on the traveler's destination but also on assessment of risk, which is determined by such variables as health status, specific itinerary, purpose of travel, season, and lifestyle during travel. Ref: Park's Textbook of Social and Preventive Medicine, 19th edition, Page 107.